The advantage of unfilled methyl methacrylate is that:
1. It can be finished smoothly
2. It has a low degree of flow
3. It's non-irritation to pulp
4. It's wear resistant is high

Correct answer: 1. It can be finished smoothly